Pear-shaped trophozoite with undulating membrane is characteristic features of
1. Trichomonas Vaginalis
2. Giardia - Iambiia
3. African trypanosomiasis
4. Enteromonas hominis

Correct answer: 1. Trichomonas Vaginalis

Explanation: (Trichomonas vaginalis) (37-P) (40- Paniker 6th)Trichomonas vaginalis - occurs only as the trophozoite there being no cystic form in trichomonas. The trophozoite is ovoid or pear shaped, broad with short undulating membrane reaching uptop the middle of the body. It has 4 anterior flagella and fifth running along the outer margin of the undulating membrane, which is supported at its base by a flexible rod, the costa. A prominent axostyle runs throughout the length of the body and projects posteriorly. The cytoplasm shows prominent granules which are most numerous alongside the axostyl and costa.* ** CPLM (cysteine, peptone, Liver, maltose) medium is used for cultureGiardia-Lamblia - pyriform, heart shaped or rachet shaped trophozoite with parabasal or median bodies